Hypoparathyroidism following thyroid surgery occurs within-
1. 24 hours
2. 2 - 5 days
3. 7-14 days
4. 2 - 3 weeks

Correct answer: 2. 2 - 5 days